With regards to acute pyelonephritis in pregnancy all of the following are true except:
1. Left kidney is involved in 50% of patients
2. Most common isolate is E. coli
3. More common in later 1/2 of pregnancy
4. Responds to amino glycosides

Correct answer: 1. Left kidney is involved in 50% of patients

Explanation: Pyelonephritis in Pregnancy:
Etiology:

Incidence in pregnancy is 1-3%
More common in primigravida and young females
Usually occurs in the second trimester after 16 weeks (>50%) but may occur in 1st and 3rd as well
Generally bilateral, if unilateral it is more common on right side (in more than half of the cases)
Most common organism responsible E. coli (70%), Klebsiella (10%).

Complications